The most effective method for motivating a couple for adopting family planning practices is -
1. Printed material
2. Films and television
3. Group discussion
4. Inter-personal communication

Correct answer: 4. Inter-personal communication

Explanation: Traditional way of communication has been by word of mouth.The advent of written and printed matter are comparatively recent origin .Direct verbal communication by word of mouth may be loaded with hidden meanings (refer pgno:855 park 23 rd edition)